Magistrate inquest not needed in:
1. Homicide
2. Exhumation
3. Police custody death
4. Dowry death

Correct answer: 1. Homicide

Explanation: Ans. Homicide